VAT in mechanical ventilation stands for ?
1. Ventilator associated trauma
2. Ventilator associated treatment
3. Ventilator associated tracheobronchitis
4. None of the above

Correct answer: 3. Ventilator associated tracheobronchitis

Explanation: Ans. is 'c' i.e., Ventilator associated tracheobronchitis (Ref: Nosocomial andVentilator-Associated Pneumonia p.14) VAT (Ventilator associated tracheobronchitis) & VAP (Ventilator associated pneumonia) are nosocomial lower respiratory tract infections common in patients who are on ventilator for long periods of time.